Which of the following would distinguish hydrocephalusdue to aqueductal stenosis when compared to thatdue to Dandy walker malformation:
1. Third ventricle size
2. Posterior fossa volume.
3. Lateral ventricular size
4. Head circumference.

Correct answer: 2. Posterior fossa volume.

Explanation: . Posterior fossa volume.